Dracunculosis is most common in-
1. Gujarat
2. Rajasthan
3. Madhya Pradesh
4. Orissa

Correct answer: 2. Rajasthan

Explanation: Ans. is b' i.e. Rajasthan' At present dracunculosis is eradicated from India but previously It was common in Rajasthan.